Maximum osmotic gradient is found in ________
1. Outer cortex
2. Inner medulla
3. Inner cortex
4. Outer medulla

Correct answer: 2. Inner medulla

Explanation: There is osmotic gradient from cortex to tip of medulla